Following cranial nerve is involved in patients with sarcoidosis -
1. I cranial nerve
2. VII cranial nerve
3. III cranial nerve
4. IV cranial nerve

Correct answer: 2. VII cranial nerve

Explanation: Answer- B. VII cranial nerveThe most common mainfestation is cranial neuropathy with B/L or U/L seventh nerve Bell palsy.